All are true about trigone of bladder except:
1. Mucosa is loosely attached to the underlying musculature
2. Mucosa is smooth
3. Lined by transitional epithelium
4. Derived from absorbed part of the mesonephric duct

Correct answer: 1. Mucosa is loosely attached to the underlying musculature

Explanation: A i.e. Mucosa loosely attached to the underlying musculature